A 10-year-old boy presents with nasal obstruction and intermittent profuse epistaxis. He has a firm pinkish mass in the nasopharynx. All of the following investigations are done in this case except:
1. MRI
2. Carotid angiography
3. CECT scan
4. Biopsy

Correct answer: 4. Biopsy

Explanation: (d) Biopsy(Ref. Cummings, 6th ed., 1421)This is most likely a case of angiofibroma.Biopsy is contraindicated in a case of suspected angiofibroma, as it will result into profuse bleeding because here the blood vessels lack the muscular component so contraction does not occur.The most appropriate investigation for the diagnosis of angiofibroma is CECT.Carotid angiography is done so as to know the feeding vessel to angiofibroma so that preoperative embolisation of this vessel can be done.To see the intracranial extension or extension into orbits or infratemporal fossa CECT has to be augmented with MRI.